Most unpleasant side effect of salbutamol is
1. Tremors
2. Hypertension
3. Rhinorrhoea
4. Headache

Correct answer: 1. Tremors

Explanation: Ans. a (Tremors.) (Ref: KD Tripathi, Pharmacology, 4th ed., 125, 237)Salbutamol is highly selective beta, agonist used to treat attacks of asthma.Its side effects are:# Tremors (unpleasant, dose-related).- Palpitations# Restlessness- Ankle edema# Nervousness- Throat irritation